True about Bochdalek hernia is all, EXCEPT:
1. Most common diaphragmatic hernia
2. Occurs more commonly on right side
3. Occurs in postolateral diaphragm
4. None of the above

Correct answer: 2. Occurs more commonly on right side

Explanation: The most common is a posterolateral (Bochdalek) hernia, which occurs as a result of a defect in the posterior diaphragm in the region of the tenth or eleventh ribs. It is more common on the left, and presents with abdominal contents in the left hemithorax at birth; clinically significant cases develop hypoxaemia and respiratory failure at birth